A reluctant child forced to bring sugar from a shop spills half of it on the way. This is an example of -
1. Hysteria
2. Passive aggression
3. Disobedience
4. Active aggression

Correct answer: 2. Passive aggression

Explanation: This is classical example of passive aggression where the child is expressing anger indirectly (by spilling the half sugar) when forced to bring it from a shop.